Neuropraxia is defined as:
1. Anatomically normal but physiological interruption of nerve conduction
2. Nerve intact with broken axons
3. Axons as well as nerve broken
4. None of the above

Correct answer: 1. Anatomically normal but physiological interruption of nerve conduction

Explanation: Ans: A i.e. Anatomically normal but physiological interruption of nerve conduction